Controlled tipping is method of disposal of -
1. Sullage
2. Sewage
3. Human excreta
4. Refuse

Correct answer: 4. Refuse

Explanation: Park's textbook of preventive and social medicine 23rd edition. * Controlled tipping or sanitary landfill is the most satisfactory method of refuse disposal where suitable land is available.,